The important symptom of radiation proctitis is:
1. Bleeding PR
2. Weight loss
3. Loss of weight
4. Colicky abdominal pain

Correct answer: 1. Bleeding PR

Explanation: Radiation proctitis can lead to persistent rectal bleeding and iron deficiency anemia. Other symptoms include diarrhea, mucoid discharge, urgency, tenesmus, rectal pain and fecal incontinence. Ref: World J Gastroenterol 2011 November 7; 17(41): 4554-4562.